Roth's spot are seen in -
1. Diabetic retinopathy
2. CMV retinitis
3. Infective endocarditis
4. HIV retinopathy

Correct answer: 3. Infective endocarditis

Explanation: (C) Infective endocarditis (1054-H 18th, (624 Davidson 21st)* Peripheral manifestations of infective endocarditis are Osier's nodes, subungual hemorrhages, Janeway lesions, Roth's spots**** Isolation of causative micro-organism from blood culture is critical for diagnosis.* Most common cause of acute endocarditis is staph, aureus.Diagnosis of invective endocarditis (modified Duke criteria)MAJOR CRITERIA:* Positive blood culture -Typical organism from two cultures.Persistent positive blood cultures taken >12 hrs apartThree or more positive cultures taken over >1 hrs* Endocardial involvement -Positive echocardiographic findings of vegetationsNew valvular regurgitationMINOR CRITERIA:* Predisposing valvular or cardiac abnormality.* Intravenous drug misuse.* Pyrexia > 3 8degC* Embolic phenomenon* Vasculitic phenomenon* Blood cultures suggestive organism growth but not achieving major criteria.* Suggestive echocardiographic findings.Definite endocarditis = two major, or one major and three minor or five minor.Possible endocarditis = one major and one minor, or three minor.* SABE, Embolic phenomenon is common in Mitral valve.* Right sided endocarditis - which usually involves the tricuspid value, causes septic pulmonary emboli, occasionally with infarction and lung abscess.